The foetal pole with cardiac activity is detected with Transvaginal USG by what stage of gestation?
1. 6 weeks
2. 8 weeks
3. 10 weeks
4. 12 weeks

Correct answer: 1. 6 weeks

Explanation: Using transvaginal USG, the gestational sac can usually be seen at 4 weeks, the yolk sac at 5 weeks, and the fetal pole with cardiac activity by 6 weeks. Cardiac activity can be seen simultaneously with the appearance of a fetal pole as a pulsation at the lateral aspect of the yolk sac. Normal embryonic heart rate may be as low as 70-100 beats per minute range during early gestation, but soon rises to the fetal normal range of 120-160 beats/min by 9-10 weeks gestational age.